Cervical cancer with involvement of upper vagina & parametrium is stage -
1. lb
2. 2a
3. 2b
4. 3a

Correct answer: 3. 2b

Explanation: Ans. is 'c' i.e., 2b Clinical staging of cancer cervix (FIGO)Preinvasive CarcinomaStage 0Carcinoma in situ, intraepithelial carcinoma (cases of stage 0 should not be included in any therapeuticInvasive Carcinoma Stage ICarcinoma strictly confined to the cervix (extension to the corpus should be disregarded)Stage IaPreclinical carcinomas of the cervix i.e., those diagnosed only by microscopyStage Ia1: lesion with <3 mm invasionStage Ia2: lesions detected microscopically and can be measured The upper limit of the measurement should show a depth of invasion of >3-5 mm taken from the base of the epithelium, either surface or glandular, from which it originates, and a second dimension, the horizontal spread, must not exceed 7 mm.Larger lesions should be staged as lb Stage IbLesions invasive >5 mmStage Ibl: lesions less than or equal to 4 cm Stage Ib2: lesions larger than 4 cm Stage IIThe carcinoma extends beyond the cervix but has not extended onto the wallThe carcinoma involves the vagina, but not the lower one-third Stage IIa: No obvious parametrial involvement Stage IIb: obvious parametria1 involvement Stage IIIThe carcinoma has extended onto the pelvic wall. On rectal examination, there is no CA-free space between the tumor and the pelvic wall. The tumor involves the lower one-third of the vagina. All cases with hydronephrosis or nonfunctioning kidneyStage IIIa: no extension to the pelvic wall Stage IIIb: extension onto the pelvic wall and/or hydronephrosis or nonfunctioning kidneyStage IVThe carcinoma has extended beyond the true pelvis or has clinically involved the mucosa of the bladder or rectum. A bullous edema, as such, does not permit a case to be allotted to stage IVStage IVa: spread of the growth to adjacent organs Stage IVb: spread to distant organs